What is the minimal occlusal thickness that will provide resistance to fracture of amalgam:
1. 1.0 mm
2. 1.2 mm
3. 1.5 mm
4. 1.8 mm

Correct answer: 3. 1.5 mm